Which of the following is 100 times more potent than morphine?
1. Pethidine
2. Fentanyl
3. Pentazocin
4. Meperidine

Correct answer: 2. Fentanyl

Explanation: Fentanyl is 100 times more potent than morphine. Pethidine is 1/10th as potent as morphine. Ref KD Tripathi 8th ed.